Finnish of nephrotic syndrome is caused by defect in following protein -
1. Nephrin
2. Podocin
3. Alpha actinin
4. CD2 activated protein

Correct answer: 1. Nephrin

Explanation: . Nephrin